In a patient of 8 years having history of trauma at the age of 5 years. The TMJ gets ankylosed, what should be treatment
1. Gap arthroplasty
2. Gap arthroplasty with temporalis muscle meniscus placed in joint space
3. Condylectomy
4. Condyloplasty

Correct answer: 2. Gap arthroplasty with temporalis muscle meniscus placed in joint space